Therapeutic abortion was accepted by
1. Declaration of Genava (1948)
2. Declaration of Oslo (1970)
3. Declaration of Helsinki
4. Declaration of Tokyo

Correct answer: 2. Declaration of Oslo (1970)

Explanation: Ans. is 'b' i.e., Declaration of Oslo (1970)